Commonest post operative complication of tonsilectomy is -
1. Palatal palsy
2. Hemorrhage
3. Injury to uvula
4. Infection

Correct answer: 2. Hemorrhage

Explanation: "Post-tonsillectomy hemorrhage is the most common complication, occuring in approximately 2 to 5%, and should be taken seriously".
─ Bellenger's otolaryngology